Clinical features of pyloric stenosis in infants are all, EXCEPT:
1. Abdominal lump
2. Constipation
3. Weight Loss
4. Metabolic acidosis

Correct answer: 4. Metabolic acidosis

Explanation: Metabolic alkalosis, not acidosis is seen in hypertrophic pyloric stenosis due to loss of hydrogen ions in repeated vomiting. Ref: Schwartz 9/e, Page 1426 ; Maingot's 10/e, Page 2067.